Signs of cerebral compression are all except -
1. Bradycardia
2. Hypotension
3. Papilloedema
4. Vomiting

Correct answer: 2. Hypotension

Explanation: There is hypertension.